Choledochal cyst
1. Mostly present in adulthood
2. Excision is infrequently done
3. Presents as slowly progressive jaundice
4. Can lead to carcinoma

Correct answer: 4. Can lead to carcinoma

Explanation: Carcinoma in Choledochal cyst More than half tumors occur within the cyst itself(intracystic) and may recur after cyst excision Risk of malignancy is decreased after cyst excision, but risk persist even after cyst excision Type I and IV cysts have highest risk of cancer When present most commonly seen along posterior cyst wall If is age related Ref: Sabiston 20th edition Pgno :1511